Minor connector for the mandibular distal extension base should extend:
1. Half the length of edentulous ridge
2. Two thirds the Length of edentulous ridge
3. Full length of edentulous ridge
4. None of the above

Correct answer: 2. Two thirds the Length of edentulous ridge